Lymphangitis is caused by :
1. Staphylococcus
2. Streptococci
3. Pneumococii
4. Neisseria

Correct answer: 2. Streptococci

Explanation: Ans. is 'b' i.e. Streptococci "Lymphangitis & lymphadenitis are common manifestation of a bacterial infection that is usually caused by hemolytic streptococci or staphylococci. " - CMDTBy our conventional rule of "First come first served" streptococci is our best option